Abdomino-Perineal resection is done in colorectal carcinoma on the basis of:
1. Age of the patient
2. Distance from anal verge
3. Fixity of tumour
4. Hepatic metastasis

Correct answer: 2. Distance from anal verge

Explanation: Ans. B i.e. Distance from anal verge Colorectal carcinoma MC site: Rectum, MC site in colon: Sigmoid colon MC type: AdenoCa Presentation of right sided tumour: Anemia Left sided tumour presents as: Obstruction/ pain Risk factors: -- Increased dietary fats & oil, -- Elevated serum cholesterol, -- Ulcerative colitis & Crohns disease, -- Familial adenomatous polyps MC site of metastasis: Liver (33% patient may have metastasis) Treatment of choice: Surgery